Drug induced interstitial nephritis is caused by ?
1. Methicillin
2. Cloxacillin
3. Azlocillin
4. Piperacillin

Correct answer: 1. Methicillin

Explanation: Ans. is 'a' i.e., Methicillin